First case that comes to notice of physician is?
1. Primary case
2. Secondary case
3. Index case
4. Refer case

Correct answer: 3. Index case

Explanation: ANSWER: (C) Index caseREF: Park 20th ed p. 91Primary case: first case introduced into the population unit being studiedSecondary case : those developing from contact with the primary caseIndex case : the first case that comes to attention of investigator/ physician